Which of the following is most severely affected in Kala azar -
1. Spleen
2. Liver
3. Adrenal gland
4. Bone marrow

Correct answer: 1. Spleen

Explanation: The parasite spread from the site of inoculation and multiplies in reticule endothelial system especially in the spleen, liver, bone marrow and lymphnodes .This leads to enlargement of these organs.It is characterized by pyrexia, splenomegaly,hepatomegaly,lymphadenopathy(Referpgn:41baveja 3 rd edition)